Regarding CEA-false is -
1. Prognostic indicator
2. Glycoprotein
3. Elevated in colorectal carcinoma
4. Elevated only when there is hepatic metastasis

Correct answer: 4. Elevated only when there is hepatic metastasis

Explanation: Ans. is 'd' i.e., Elevated only when there is hepatic metastasis